Potassium channel openers with anti anginal drug is:
1. Nicorandil
2. Dipyridamole
3. Trimetazidine
4. Oxyphedrine

Correct answer: 1. Nicorandil

Explanation: (Nicorandil): Ref: 499-KDT (534-KDT 6th)POTASSIUM-CHANNEL-OPENERS* Minoxidil, diazoxide used in hypertension, hyperensive emergencies* Nicorandil, pinacidil, cromakalinNICORANDIL: - This novel antianginal drug activates ATP sensitive K+ channels - hyperpolarizing vascular smooth muscle the vasodilator action is partly antagonized by K+ channel blocker glibenclamide* Dipyridamol, Trimetazidine, oxyphedrine are antianginal drugs